Antibody seen in neonatal Lupus with conduction abnormalities in heart
1. Anti-nuclear
2. Anti-Ro
3. Anti-La
4. Anti-Histone

Correct answer: 2. Anti-Ro

Explanation: Anti-Ro (SSa) - 
Subacute Cutaneous Lupus.
Neonatal Lupus.
Congenital heart block.